Dowry prohibition act 1986, punishment is ?
1. Tyr, Rs 25000
2. Tyr Rs 15000
3. 5yr, Rs 25000
4. 5yr Rs 15000

Correct answer: 4. 5yr Rs 15000

Explanation: Ans. is 'd' i.e., 5yr Rs 15000 According to "The Dowary Prohibition Act, 1961 (Amended 1986)", if any person violates the act may be punished with the imprisonment for a term not less than 5 years and with a fine which shall not less than Rs. 15000 or amount of the value of such dowry which ever is more. Also know According to section 304 B IPC, the punishment for dowry death is imprisonment for a term of minimum 7 years, which may be extended to life imprisomment.